A child Ramu has swallowed the contents of two bottles of nasal decongestant is primary ingredient is alpha adrenergic receptor agonist drug. The sign of Alpha activation that may occur in this patient include
1. Tachycardia
2. Dilation of pupil
3. Vasodilation
4. All the above

Correct answer: 2. Dilation of pupil

Explanation: Ref-KDT 6/e p143 Stimulation of Alpha receptor cause mydrasis whereas tachycardia and vasodilation are due to activation of Beta adrenergic receptor